Side effects of diphenyl hydantion may include all EXCEPT-
1. Gingival hyperplasia
2. Acute cerebellar syndrome
3. Inter - nuclear opthalmoplegia
4. Megaloblastic anemia

Correct answer: 3. Inter - nuclear opthalmoplegia